All of the following are done in behaviour therapy to increase a behaviour except
1. Punishment
2. Operant conditioning
3. Negative reinforcement
4. Reward

Correct answer: 1. Punishment

Explanation: This is one of the favourite questions asked under the section of behavior therapy Behavioral therapy is learning given by BF Skinner , according to him all behaviors are learned phenomenon and thus can be unlearned. Positive reinforcement a type of reinforcement when a behavior is rewarded there is more chance that the behavior is repeated Negative reinforcement is that when a behavior is done and an aversive response is removed, the behavior is repeated. When I go and meet my girlfriend, she checks my messages and picks up fight (aversive response) suddenly I delete all messages one day and that day there was no fight (no aversive response) then that behavior is repeated (delete all messages before meeting my girlfriend) U do a behavior and a aversive response is given, the chance that u repeat the behavior is less Extinction is the type of reinforcement where a behavior is done and a rewarding response is removed the chance is that behavior will not be repeated A child likes to play with children( reward) but when the child fights with other children( undesirable behavior) the child will be removed from playing( removing a reward) , then the child stops fighting with other children( reduction of undesirable behaviour) Ref.Kaplon and sadock, synopsis of psychiatry, 11 th edition, pg no. 102